True about ester local anesthetics are all, EXCEPT:
1. Unstable in solution
2. Hydrolyzed in plasma
3. Hydrolyzed by cholinesterase enzymes
4. None of the above

Correct answer: 4. None of the above

Explanation: The ester and amide local anesthetics differ in their chemical stability, locus of biotransformation, and allergic potential. Amides are extremely stable, whereas esters are relatively unstable in solution. Aminoesters are hydrolyzed in plasma by cholinesterase enzymes, but the amides undergo enzymatic degradation in the liver Ref: Miller's anesthesia-7th ed, Chapter 30.